Instantaneous muscle rigidity after death without the period of primary relaxation of muscles is known as:
1. Rigor mortis
2. Cadaveric spasm
3. Algor mortis
4. Livor mortis

Correct answer: 2. Cadaveric spasm

Explanation: Ans. B. Cadaveric spasm. (Ref. Reddy's FMT 25th/p.85; Parikh's textbook of FMT 6th/pg. 3.18)# Cadaveric spasm is instantaneous rigorcharacterized by the sudden development of rigidity without the phase of primary relaxation.CADAVERIC SPASMCadaveric spasm (Instantaneous rigor, cataleptic rigidity) is characterized by the sudden development of rigidity without the phase of primary relaxation, usually localized to muscles that have forcefully contracted perimortem.RIGOR MORTISOrdinarily, death is followed immediately by total muscular relaxation - primary muscular flaccidity - succeeded in turn by generalised muscular stiffening - rigor mortis. After a variable period of time rigor mortis passes off spontaneously to be followed by secondary muscular flaccidity.ALGOR MORTIS (BODY COOLING)This is the most useful single indicator of the time of death during the first 24 hours post mortem. Some writers would regard it as the only worthwhile corporal method.The use of body temperature estimations to assess time of death applies only to cool and temperate climates since in tropical regions there may be a minimal fall in body temperature post mortem and in some extreme climates, (e.g. central Australia) the body temperature may even rise after death.LIVOR MORTIS (HYPOSTASIS. POST MORTEM LIMDITY/SUGGELLATIONS)Lividity is a dark purple discolouration of the skin resulting from the gravitational pooling of blood in the veins and capillary beds of the dependent parts of the body following cessation of the circulation. The process begins immediately after the circulation stops, and in a person dying slowly with circulatory failure, it may be pronounced very shortly after death. Within about 30-60 minutes of death the blood in most corpses, dead from natural or non-natural causes, becomes permanently incoagulable. This is due to the release of fibrinolysins, especially from small calibre vessels, e.g. capillaries, and from serous surfaces, e.g. the pleura.